All of the following are true about mammography except -
1. It can detect microcalcifications
2. It is a screening tool in breast cancer
3. It is basically X ray imaging of the breast
4. It has a significant radiation risk

Correct answer: 4. It has a significant radiation risk

Explanation: Answer- D. It has a significant radiation riskMammographyIs X-ray imaging of breasts to detect tumors or other abnormalities.Mammography is the screening modality of choice for breast cancer as it can detect microcalcifications which is often the bonly early manifestation of ductal ca in situ.It is of two types -Screening mammography is used to detect breast changes in women who have no signs or symptoms of any breastabnormality. This usually requires at least 2 mammograms from different angles of each breast - a) the cranio-caudal (cc) view and b) the mediolateral-oblique (MLO) view.Diagnostic mammography- used to evaluate abnormal findings on a screening mammogram. Radiation risk (Risk of carcinoma)- No doubt that ionizing radiation (X rays) can itself cause breast cancer.